Causes of primary amenorrhea are all except
1. Rokitansky syndrome
2. Sheehan syndrome
3. Kollman syndrome
4. Turner syndrome

Correct answer: 2. Sheehan syndrome

Explanation: Ans. is 'b' i.e. Sheehan syndrome Sheehan syndrome causes secondary amenorrhea.While Rokitansky syndrome, Kallman syndrome & Turner syndrome all are associated with primary amenorrhea Primary amenorrhea is defined as absence of menses:By 13 years of age when there is no visible secondary sexual characteristic development orBy 15 years of age in the presence of normal secondary sexual characteristics.